True about experimental sham rage is
1. Occurs in decorticate animals
2. Is goal directed
3. Is caused by removal of hypothalamus
4. Appears slowly and goes slowly

Correct answer: 1. Occurs in decorticate animals

Explanation: Sham rage was coined when experiments were done on decorticated animals. Surgery was done to remove their cortex and then studies were done to see the changes post surgery. Any lesion to, or removal of hypothalamus lead to its abolishment.